Sphingomyelinase deficiency is seen in:
1. Niemann - Pick disease
2. Fabry's disease
3. Tay Sach's disease
4. Krabbe's disease

Correct answer: 1. Niemann - Pick disease

Explanation: Enzyme deficient in Niemann Pick disease is Sphingomyelinase Fig: Sphingolipidoses and their enzyme deficiencies